Most common pemphigus is-
1. Pemphigus vulgaris
2. Pemphigus vegetans
3. Pemphigus foliaceus
4. Pemphigus erythematosus

Correct answer: 1. Pemphigus vulgaris

Explanation: The several variant of pemphigous are pemphigous vulgaris, P. foliaceus, P. erythematosus, P. vegetans. In this the most common is pemphigous vulgaris. From illustrated synopsis of dermatology and sexually transmitted diseases neena khanna 5th edition page no 78